Max. absorption of water takes place in :
1. Loop of Henle
2. Collecting duct
3. PCT
4. DCT

Correct answer: 3. PCT

Explanation: Ans. is 'c' is PCT * " Normally, about 65 percent of the filtered load of sodium and water and a slightly lower percentage of filtered chloride are reabsorbed by the proximal tubule before the filtrate reaches the loop of Henle *